Calcitionin is secreted from -
1. Ancinar cells of thyroid
2. Chief cells of parathyroid
3. C cells of thyroid
4. Oxyphil cells of parathyroids

Correct answer: 3. C cells of thyroid